Amount of oestrogen in MALA - D is :
1. 30 pg
2. 50 lig
3. 10 pg
4. 80 pg

Correct answer: 1. 30 pg

Explanation: 30 pg